Following are side effects of insulin, except :
1. Edema
2. Albuminuria
3. Hypoglycemia
4. Lipodystrophy

Correct answer: 2. Albuminuria

Explanation: Hypoglycemic reactions are the most common complication of insulin therapy. They usually result from inadequate carbohydrate consumption, unusual physical exertion, or too large a dose of insulin. Injection of animal insulin preparations sometimes led to atrophy of subcutaneous fatty tissue at the site of injection. Since the development of human and analog insulin preparations of neutral pH, this type of immune complication is almost never seen. Lipohypertrophy (enlargement of subcutaneous fat depots) has been ascribed to the lipogenic action of high local concentrations of insulin. Insulin allergy, an immediate type hypersensitivity, is a rare condition in which local or systemic urticaria results from histamine release from tissue mast cells sensitized by anti-insulin IgE antibodies. Ref :D'Alessio D. (2011). Chapter 43. Endocrine Pancreas and Pharmacotherapy of Diabetes Mellitus and Hypoglycemia. In B.C. Knollmann (Ed), Goodman & Gilman's The Pharmacological Basis of Therapeutics, 12e.